Phlyctenular conjunctivitis is caused by-
1. Chlaymydia
2. Staphylococcus
3. Pneumococcus
4. Aspergillus

Correct answer: 2. Staphylococcus

Explanation: Causative allergens 1. Tuberculous proteins were considered, previously, as the most common cause. 2. Staphylococcus proteins are now thought to account for most of the cases. 3. Other allergens may be proteins of Moraxella Axenfeld bacillius and certain parasites (worm infestation). ref: A K KHURANA OPHTALMOLOGY,E4, Page-77